Hallucination are
1. Feeling of familiarity with unfamiliar thing
2. Alteration of perception of ones reality
3. Misinterpretation of stimuli
4. Perception occurring without external stimulation 7

Correct answer: 4. Perception occurring without external stimulation 7

Explanation: D i.e. Perception occuring without external stimulation